Fructose uptake in small intestine is ?
1. Passive diffusion
2. Facilitated diffusion
3. Primary active transport
4. Secondary active transport

Correct answer: 2. Facilitated diffusion

Explanation: Ans. is b' i.e., Facilitated diffusion